Hepatitis is caused by:
1. Cyclopropane
2. Halothane
3. Isoflurane
4. Enflurane

Correct answer: 2. Halothane

Explanation: B i.e. Halothane